Which is the most common site of fertilization in the female reproductive tract?
1. Cervix
2. Ampulla
3. Fimbriae
4. Uterus

Correct answer: 2. Ampulla

Explanation: The middle segment of fallopian tube called the ampulla is the widest and longest segment. It contains extensive branched mucosal folds and is the commonest site of fertilization.